in a case of plycythemia vera which of the following rceptor overactivity is seen?
1. tyrosine kinase
2. jak 2
3. c GMP
4. none of the above

Correct answer: 2. jak 2

Explanation: Receptor Types 1. Ion-channel Receptors (Ionotropic Receptors) 2. G-Protein Coupled Receptors (Metabotropic receptors) 3. Kinase-linked Receptors 4. Intracellular Receptors (Cytosolic Receptors) 5. Enzymes as Receptors 6. Drugs which act through Modulation of Voltage Gated Ion Channels (Voltage-Operated Channels) POLYCYTHEMIA VERA * Polycythemia vera (PV) is a slow-growing type of blood cancer in which your bone marrow makes too many red blood cells. Polycythemia vera may also result in production of too many of the other types of blood cells -- white blood cells and platelets. * PV is a clonal stem cell disorder in which there is an alteration in the pluripotent progenitor cell leading to excessive proliferation of erythroid, myeloid and megakaryocytic progenitor cells. Over 95% of patients with PV have acquired mutations of the gene Janus Kinase 2 (JAK2) ref /: (kumar and clark's clinical medicine).